Which of the following statements about non typhoid salmonella is not true?
1. Humans are the only reservoirs.
2. Transmission is most commonly associated with eggs, poultry and undercooked meat.
3. Common in immunocompromised individuals.
4. Resistance to fluoroquinolones has emerged.

Correct answer: 1. Humans are the only reservoirs.

Explanation: Humans are not the only reservoirs in non typhoid salmonella. Option 1 - Non-typhoidal salmonella can be acquired from multiple animal reservoirs. Option 2 - Transmission is most commonly associated with animal food products especially eggs, poultry, undercooked meat and dairy products. Option 3 - These infections are quite common in immunocompromised individuals. Option 4 - Increased use of ceftriaxone (cephalosporins) and ciprofloxacin (1st generation fluoroquinolone) to treat MDR (multi drug resistant) strains leads to resistance against it.